A 30-year-old man who was recently started on haloperidol 30mg/day developed hyperpyrexia, muscle rigidity, akinesia, mutism, sweating, tachycardia and increased blood pressure. The investigations showed increased VVBC count, increased creatinine phosphokinase. There is no history of any other drug intake or any signs of infection. The most likely diagnosis is:
1. Drug overdose
2. Neuroleptic malignant syndrome
3. Drug induce Parkinsonism
4. Tardive dyskinesia

Correct answer: 2. Neuroleptic malignant syndrome

Explanation: B i.e. Neuroleptic malignant syndrome